Feature of osteoarthritis is -
1. Heberden node
2. Increased ESR
3. Onycholysi
4. Z deformity

Correct answer: 1. Heberden node

Explanation: Ans. is 'a' i.e.. Heberden nodeJoint involvement in QAo Common joints : Knee, Hip, Spine (cervical, lumbosacral), Hand (PIP, DIP, first carpometacarpal), first tarsometatarsal.o Uncommon joint: Shouldero Spared : Wrist, elbow, ankle, metacarpophalangeal.o In osteoarthritis of hand :Distal interphalangeal joint Heberden's node.Proximal interphalangeal jointBouchard's node